Which of the following statements about healthy, intact capillaries is true?
1. They control blood pressure.
2. They are lined by a simple columnar epithelium
3. They have a smooth muscle coat.
4. They inhibit clot formation.

Correct answer: 4. They inhibit clot formation.

Explanation: The smooth endothelial lining of intact, healthy capillaries inhibits clot formation. They are lined by a single layer of endothelial cells They do not have a smooth muscle coat. They do not control blood pressure